Grievous injury includes all the following except-
1. Emasculation
2. Permanent privation of hearing
3. Privation of any member/joint
4. Disability to follow one's ordinary pursuits for a period of a week

Correct answer: 4. Disability to follow one's ordinary pursuits for a period of a week

Explanation: It should be for 20 days (not for a week).